Remote after loading is used in
1. Brachytherapy
2. proton beam
3. Electron beam
4. Cyberknife therapy

Correct answer: 1. Brachytherapy

Explanation: ref : david sutton 9th ed